Translocation seen in Follicular lymphoma
1. 8;21
2. 8;14
3. 11;14
4. 14;18

Correct answer: 4. 14;18

Explanation: MalignancyTranslocationAcute myeloid leukemia (AML)(8;21)(q22;q22)(15;17)(q22;q21)Chronic myelogenous leukemia (CML)(9;22)(q34;q11)Burkitt lymphoma(8;14)(q24;q32)Mantle cell lymphoma(11;14)(q13;q32)Follicular lymphoma(14;18)(q32;q21)Ewing sarcoma(11;22)(q24;q12)Prostatic adenocarcinoma(7:21)(p22;q22)(17:21)(p21;q22)Ref: Robbins and Cotran Pathologic Basis of Disease; 9th edition; Chapter 7; Neoplasia; Page no:317; Table: 7-8